The tuberculin test:
1. Depends on activation of naive CD8 T cells by tuberculin antigen
2. Requires rapid activation of naive CD4 T cells
3. Involves no antigen presentation at the injection site
4. Is dependent on memory Th1 cells

Correct answer: 4. Is dependent on memory Th1 cells

Explanation: Sensitization during prior exposure to Mycobacterium tuberculosis results in production of memory Th1 cells to Mycobacterial proteins. When purified tuberculin is injected into the skin, memory Th1 cells secrete cytokines to attract macrophages and granulocytes and cause induration and erythema (firm red swelling). Delayed hypersensitivity reactions to tuberculin begin at 5 to 6 h and reach peak at 48 to 72 hours. Initial phase involving uptake, processing, and presentation by Langerhans-type dendritic cell in skin to T cells locally and in paracortical zones of nearby lymph nodes. T lymphocyte secretes cytokines, especially IFNgamma; macrophages are recruited and activated resulting in induration and erythema. The infiltrate of the tuberculin reaction is composed of monocytes (80-90%), CD4 T cells, CD8 T cells, and Langerhan cells. The lesion usually resolves within 5-7 days but if there is persistence of antigen, it may develop into a granulomatouS reaction. Ref: Tuberculin test: Microbiology notes of Sridhar Rao P.N.